Highest amount of cholesterol is present in -
1. HDL
2. LDL
3. VLDL
4. IDL

Correct answer: 2. LDL

Explanation: LDL